Most common malignant germ cell ovarian tumor:
1. Yolk sac tumors
2. Dysgerminoma
3. Dermoid cyst
4. Brenners

Correct answer: 2. Dysgerminoma

Explanation: Ans. (b) DysgerminomaRef. Shaws 15th ed, /: 933Please refer to above explanation.YOLK SAC TUMORS* Yolk sac tumors account for 20% of all malignant ovarian germ cell tumors* Microscopically Schiller-Duval bodies are pathognomonic when present.